Which of the following is the investigation of choice for assessment of depth of penetration and perirectal nodes in rectal cancer?
1. Trans rectal ultrasound
2. CT scan
3. Double contrast barium enema
4. MRI scan

Correct answer: 4. MRI scan

Explanation: Ans. (d) MRI ScanRef: Sabiston 19th Edition, Pages 1357-1358* Endo rectal MRI is the standard investigation to do T and N staging of cancer rectum* It's also good for overall staging** Even endorectal MRI is replaced now by surface coil MRI